Intestinal absorption of glucose occurs with the help of:
1. GLUT
2. Calcium channel
3. SGLT
4. Sodium channel

Correct answer: 3. SGLT

Explanation: Cells of the intestine and kidneys use SGLT for glucose entry into the cell (from lumen) SGLT: secondary active transport. MOA: active transport of Na+ from basolateral membrane depletes intracellular Na. | Na+ & glucose combine with SGLT on the luminal surface of intestinal epithelial cells | Glucose enters intestinal cells | Glucose transported out from basolateral membrane GLUT into blood